MgSO4 have no role in prevention of
1. Seizures in severe pre-eclampsia
2. RDS in premature baby
3. Recurrent seizures in eclampsia
4. Neuroprotection

Correct answer: 2. RDS in premature baby

Explanation: Magnesium sulphate: - Mechanism of action:- * Reduced presynaptic release of the neurotransmitter glutamate * Blockade of glutaminergic n-methyl-d-aspaate (nmda) receptor * Potentiation of adenosine action * Improved calcium buffering by mitochondria * Blockage of calcium entry voltage-gated channels Used for: - * Severe preeclampsia * Recurrent eclamptic seizures * Neuroprotection Must check: - * Urine output * Respiratory rate * Patellar reflexes Ref:- Williams obstetrics 25th Edition; Pg num:- 38/68